In complete unilateral damage to hypoglossal nerve, all are true EXCEPT:
1. Tongue atrophy on affected side
2. Deviation of tongue towards the site of lesion
3. Deviation of larynx to the contralateral side during swallowing
4. Loss of tactile sensation on affected side

Correct answer: 4. Loss of tactile sensation on affected side

Explanation: Tactile sensation of tongue is not carried by the hypoglossal nerve, hence there will be no loss of tactile sensation on the tongue.
Hypoglossal nerve is a pure motor nerve and supplies the tongue muscles.
It also carries the C1 ﬁbres to supply the two muscles of hyoid bone: Geniohyoid and thyrohyoid.
Lesion of the hypoglossal nerve causes unilateral lingual paralysis and eventual hemiatrophy. 
The protruded tongue deviates to the paralysed side and the larynx may deviate towards the active side during swallowing.

Key Concept
Tactile sensation of tongue is not carried by the hypoglossal nerve, hence there will be no loss of tactile sensation on the tongue. Hypoglossal nerve is a pure motor nerve and supplies the tongue muscles.